Maxillary artery is -
1. Branch of facial artery
2. Branch of internal carotid artery
3. Branch of common carotid
4. Terminal branch of external carotid

Correct answer: 4. Terminal branch of external carotid

Explanation: Ans. is 'd' i.e., Terminal branch of external carotid Branches of externa] carotid artervFrom medial sideAscending pharyngealFrom frontSuperior thyroid arteryLingual arteryFacial arteryFrom behindOccipital arteryPosterior auricular arteryTerminal branchesSuperficial temporal arteryMaxillary artery